Sterile vegetations are seen in all except
1. SLE
2. Infective endocarditis
3. Rheumatic fever
4. Marantic endocarditis

Correct answer: 2. Infective endocarditis

Explanation: Infective endocarditis is a serious infection mandating prompt diagnosis and intervention. Microbial invasion of heart valves or mural endocardium--often with destruction of the underlying cardiac tissues--characteristically results in bulky, friable vegetations composed of necrotic debris, thrombus, and organisms.destruction of the underlying cardiac tissues--characteristically results in bulky, friable vegetations composed of necrotic debris, thrombus, and organisms. (Robbins Basic Pathology,9th edition,pg no.393)